Which of the area in cerebral cortex represents the frontal eye field?
1. Area 8
2. Area 6
3. Area 4
4. Area 45

Correct answer: 1. Area 8

Explanation: Area 8 (the frontal eye field) is concerned with eye movements. Area 6 (the premotor area) contains a second motor map. Several other motor zones, including the supplementary motor area (located on the medial aspect of the hemisphere), are clustered nearby. Area 4 is the primary motor area in the precentral gyrus. Within the inferior frontal gyrus, areas 44 and 45 (Broca's area) are located anterior to the motor cortex controlling the lips and tongue. Broca's area is an important area for speech. Ref: Waxman S.G. (2010). Chapter 10. Cerebral Hemispheres/Telencephalon. In S.G. Waxman (Ed), Clinical Neuroanatomy, 26e.